Thymoma can be associated with all, except -
1. Superior mediastinum syndrome
2. Myasthenia gravis
3. Hypergammaglobulinemia
4. Pure red cell aplasia

Correct answer: 3. Hypergammaglobulinemia